Micro-organisms are able to damage immunoglobulin produced by host through?
1. Hyaturonidase
2. Collagenase
3. Catalase
4. Protease

Correct answer: 4. Protease